Biclutamide is a drug. True about it is:
1. Binds to androgen receptors
2. Causes gynaecomastia
3. Given as monotherapy in prostatic cancer
4. All of the above

Correct answer: 4. All of the above

Explanation: All of the above